A patient presents with single hypopigmented anaesthetic patch with satellite lesion on forearm. The most likely diagnosis is
1. Indeterminate leprosy
2. Neuritic leprosy
3. Lepromatous leprosy
4. Tuberculoid leprosy

Correct answer: 4. Tuberculoid leprosy

Explanation: Ref:- Sima Jain; pg num:-222